Who is known as 'First True Epidemiologist' in history of medicine?
1. John Snow
2. Hippocrates
3. James Lind
4. Joseph Lister

Correct answer: 2. Hippocrates

Explanation: Ans. (b) HippocratesHIPPOCRATES:* Also known as: Father of Medicine, First True Epidemiologist* Wrote book: Air, Water and PlacesALSO REMEMBER* James Lind gave the concept that Citrus fruits can prevent/cure Scurvy (Later found to be due to deficiency of Vitamin-C/ Ascorbic Acid)* Joseph Lister is also known as 'Father of Anti-sepsis'